All the following are included in 'five cleans' to prevent sepsis at birth except
1. Clean hands
2. Clean legs
3. Clean surface
4. Clean tie

Correct answer: 2. Clean legs

Explanation: Observe 'five cleans' to prevent sepsis at birth:Clean hands: Hand-hygiene and wear sterile gloves Clean surface: Use clean and sterile towel to dry and cover the baby Clean blade: The umbilical cord to be cut with a clean and sterile blade/scissor Clean tie: The cord should be clamped with a clean and sterile clamp or tie Nothing to be applied on the cord. Keep it dry. Ref: Paediatrics; O.P. Ghai; 8th edition; Page no: 133